A male 30 years of age complaints of poor vision in day light which improves in dim light. Which of the following is the most common cause?
1. Cortical cataract
2. Morgagnian cataract
3. Nuclear cataract
4. Steroid induced cataract

Correct answer: 4. Steroid induced cataract

Explanation: Ans. (d) Steroid induced cataractRef: Ducker's ophthalmology 2/e, p. 412; Parson's 20/e, p. 251Steroid induced cataract is posterior subcapsular which causes the said complaints due to its central position. Age favours PSC than nuclear cataract.